Sensory supply to soft palate is by all except
1. Lesser Palatine nerve
2. Glossopharyngeal Nerve
3. Vagus Nerve
4. Maxillary Nerve

Correct answer: 3. Vagus Nerve